High-frequency audiometry is used in -
1. Otosclerosis
2. Ototoxicity
3. Non-organic hearing loss
4. Meniere's disease

Correct answer: 2. Ototoxicity